Buerger's disease is not associated with
1. Affects male under the age of 30 year
2. Thrombophlebitis of deep or superficial veins
3. Involvement of large sized arteries primarily
4. Characteristic 'corrugation' of femoral arteries on angiography

Correct answer: 3. Involvement of large sized arteries primarily

Explanation: Buerger's disease (thromboangitis obliterans)Occlusive disease of small and medium-sized arteriesThrombophlebitis of superficial or deep veinsRaynaud syndromeAffects males (<30yrs)Angiography sometimes showed a characteristic 'corrugation' of the femoral arteries as well as the distal arterial occlusions and helps to distinguish the condition from aggressive atheroma of early onset.